Feature of hemorrhagic disease of new born is –
1. Prolonged prothrombin time
2. Defective platelet count
3. Prolonged bleeding time
4. Prolonged thrombin time

Correct answer: 1. Prolonged prothrombin time

Explanation: Normal new borns are moderately deficient in vitamin K.
This deficiency increases on 3rd to 5th day when, vitamin K level falls further. The serum level of vitamin K starts increasing from 13th to 15th day of life and achieves adult level at 3 months.
This is normal, and does not produce any bleeding.
In hemorrhagic disease of the newborn there is delay in achieving the normal vitamin K level.

Clinical Features

Vitamin K deficiency produces severe bleeding.
Bleeding occurs from umbilical cord stump on 2nd/3rd day after birth.
Intracranial bleding and large intramuscular hemorrhages may occur.
Increased prothronzbin time and increased partial thromboplastin time.

T/T

Parenteral vitamin K therapy.